Rate of iron uptake is regulated by which one of the following :
1. Mucosal cell iron stores
2. Route of administration
3. Preparation administered
4. Age of the patient

Correct answer: 1. Mucosal cell iron stores